Maximum concentration of sodium channel is at
1. Cell body at dendrite end
2. Initial segment
3. Axon below myelin
4. Node of ranvir

Correct answer: 4. Node of ranvir

Explanation: At the node of Ranvier, Na channels are 2000 to 12000/sq micrometer of membrane(Ref: Textbook of physiology N Geetha 2nd edition page no.4)